True ankyloglossia occurs as a result of
1. Union between tongue and floor of mouth/ventral surface of tongue
2. Absence of lingual frenum
3. Lingual frenum attached to the tip of tongue
4. Short lingual frenum

Correct answer: 1. Union between tongue and floor of mouth/ventral surface of tongue